IPD records of patients are preserved for how many years -
1. 1 year
2. 3 years
3. 5 years
4. 7 years

Correct answer: 2. 3 years

Explanation: Every physician shall maintain the medical records pertaining to his or her indoor patients for a period of 3 years from the commencement of treatment in a standard proforma laid down by the Medical Council of India'. as per Indian Medical Council Regulations, 2002. Ref: Textbook of Forensic Medicine & Toxicology. V.V.Pillai. 16th edition. Pg no: 592